In which of the following organism the capsule does not act as a virulence factor?
1. H. influenzae
2. Strept pneumoniae
3. N. meningitidis
4. Bordetella pertussis

Correct answer: 4. Bordetella pertussis

Explanation: Ans. is 'd' i.e., Bordetella pertussisRef: (Harrison, 19th/e, p. 1021 and Ananthanarayan, 9th/e, p. 333)Capsule of B. pertussis is not virulence factor of pertussis as Pertussis toxin (PT) - Most imp/important. Virulence factor.